The splenic artery usually follows a tortuous course along which of the following structures?
1. Left kidney
2. Greater curvature of the stomach
3. Pancreas
4. Transverse colon

Correct answer: 3. Pancreas

Explanation: - The splenic artery, the largest branch of the celiac trunk, follows a tortuous course posterior to the omental bursa, anterior to the left kidney, and along the superior border of the pancreas